All of the following are true about Raynaud\'s disease except -
1. More cormnon in females
2. Positive antinuclear antibodies
3. Most common cause of raynaud's phenomenon
4. Has good prognosis

Correct answer: 2. Positive antinuclear antibodies